Pappu, 7 yrs old young boy, had fracture of lateral condyle of femur. He developed malunion as the fracture was not reduced anatomically. Malunion wifl produce -
1. Genu vulgum
2. Genu varum
3. Genu recurvatum
4. Dislocation of knee

Correct answer: 1. Genu vulgum

Explanation: Injury to lateral femoral condyle causes genu valgum and injury to medial femoral condyle causes genu varum.